Which of the following statement is false about MR vaccination campaign launched by WHO?
1. Children from 9 months to less than 15 vaccinated
2. Congenital rubella syndrome (CRS), responsible for irreversible birth defects
3. India has not yet launched this campaign
4. Will replace routine immunization for measles vaccine

Correct answer: 3. India has not yet launched this campaign

Explanation: * One of the world's largest vaccination campaign against measles, a major childhood killer disease, and congenital rubella syndrome (CRS), responsible for irreversible birth defects. * India, along with ten other WHO South East Asia Region member countries, have resolved to eliminate measles and control rubella/congenital rubella syndrome (CRS) by 2020 * .All children from 9 months to less than 15 years of age will be given a single shot of Measles- Rubella (MR) vaccination during the campaign * . Following the campaign, MR vaccine will become a part of routine immunization and will replace measles vaccine, currently given at 9-12 months and 16-24 months of age of child. * For those children who have already received such vaccination, the campaign dose would provide additional boosting to them. REF : PARK TESXT BOOK 21ST ED